What is the risk of downs syndrome in a 35-year-old pregnant woman?
1. 1 in 75
2. 1 in 100
3. 1 in 250
4. 1 in 1000

Correct answer: 3. 1 in 250

Explanation: Age of the motherRisk of Down's syndrome351 in 250361 in 192371 in 149381 in 115391 in 89401 in 69Reference: William's obstetrics; 25th edition; Chapter 14; Prenatal Diagnosis